Bad trip is seen with ?
1. Cocaine
2. Cannabis
3. LSD
4. Heroin

Correct answer: 3. LSD

Explanation: Ans. C. LSDAcute panic reaction with loss of control on onself, called Bad trip, is characteristic of LSD or otJrer hallocinogens.